All are responsible for pronator syndrome except
1. Struthers ligament
2. Bicipital aponeurosis
3. Pronator quadratus
4. FDS

Correct answer: 3. Pronator quadratus

Explanation: C i.e. Pronator qauadratus